Disability limitation is a part of prevention ?
1. Primary
2. Secondary
3. Tertiary
4. None

Correct answer: 3. Tertiary

Explanation: Ans. is 'c' i.e., Tertiary orT Disability limitation and Rheabilitation are tertiary level of prevention.